'Malignant pustule' is
1. Anthrax ulcer
2. Proliferating rodent ulcer
3. Malignant melanoma
4. Marjolin's ulcer

Correct answer: 1. Anthrax ulcer

Explanation: A congested edematous ulcer area with central necrosis and surrounding black ischar and satellite lesions is called "malignant pustule".